Giving stupefying drug with intent to cause hurt - 10 yrs under section
1. 328 IPC
2. 327 IPC
3. 325 IPC
4. 284 IPC

Correct answer: 1. 328 IPC

Explanation: Section 328 IPC Whoever administers to any person any poison or any stupefying or intoxicating drug, with intent to cause hurt, or with intent to facilitate the commission of an offence, shall be punished with imprisonment of ten years, and shall also be liable to fine.